Savlon contains -
1. Cetrimide + Chlorhexidine
2. Cetrimide + Chlorhexidine + butyl alcohol
3. Cetrimide + butyl alcohol
4. Cetrimide + Cetavlon

Correct answer: 1. Cetrimide + Chlorhexidine

Explanation: Ans. is 'a' i.e. Cetrimide + chlorhexidine o Savlon contains - Chlorhexidine gluconate (hibitane) + Cetrimide (cetavlon) in various percentages.